The most common location of hypertensive intracranial haemorrhage is:
1. Subarachnoid space
2. Basal ganglia
3. Cerebellum
4. Brainstem

Correct answer: 2. Basal ganglia

Explanation: Ans. Basal ganglia